Ulnar nerve paralysis causes
1. Ape thumb deformity
2. Wrist drop
3. Claw finger deformity
4. Meralgia perasthetica

Correct answer: 3. Claw finger deformity

Explanation: Ans. (c) Claw finger deformityRef.: Maheshwari 5th ed. / 64* In ulnar nerve palsy especially in long standing cases, the hand assumes the characteristic "claw" deformity. It is also known as partial claw hand deformity.* Complete claw hand deformity is due to palsy of ulnar and median nerve both.ConditionFeaturesMedian Nerve PalsyLabourer Nerve Palsy* Pointing index* Pen test* Ape thumb deformity* Carpal tunnel syndromeUlnar Nerve PalsyMusician nerve palsy* Book test (froment sign)* Card test* Egawa'stest* Claw finger deformityRadial Nerve PalsyLateral cutaneous nerve of thigh (entrapped)* Wristdrop* Thumb drop* Finger drop* Meralgia paraestheticaErb's palsyPoliceman tip deformity (Porter's tip deformity)